Which of the following strains of wild poliovirus forms the salk type 1 component of inactivated polio vaccine?
1. MEF - 1
2. Mahoney
3. Saukett
4. Leningrad - 3

Correct answer: 2. Mahoney

Explanation: IPV is usually made from Mahoney (salk type I), MEF - 1 (salk type II) and saukett (salk type III) that are grown in cell culture. The harvested viral components are inactivated with formaldehyde. Leningrad - 3 is a strain of mumps virus used for making mumps vaccine. Ref: Park, Edition 21, Page - 185